Child presents with linear verrucous plaques on the trunk with vacuolization of keratinocytes in s. spinosum and s. granulosum. Diagnosis is:
1. In continenta pigmenti
2. Delayed hypersensitivity reaction
3. Linear / Verrucous epidermal nevus
4. Linear Darier's disease

Correct answer: 3. Linear / Verrucous epidermal nevus

Explanation: C. i.e. Linear epidermal nevus Linear verrucous epidermal nervs presents with localized/diffuse, closely set, skin coloured verrucous plaques with liner configuration (along Blaschko's lines) on limbs and transverse configuration on trunkQ. Histology shows acanthosis, papillomatosis, hyperkeratosis, compact orthokeratosis, alternating bands of ortho and parakeratosis, perinulclear vacuolization of keratinocytes in granular layer (stratum granulosum) and stratum spinosumQ and irregular cellular boundaries peripheral to the vacuolization and increased number of irregularly shaped large kerathinohyaline granules.